Best way to control house fly
1. DDT
2. Pyretheum
3. Mosquito net
4. Climination of breading places

Correct answer: 4. Climination of breading places